Which of the following drug has longest Half Life
1. Amiodarone
2. Quinidine
3. Diltiazem
4. Procainamide

Correct answer: 1. Amiodarone

Explanation: Refer kDT 7/e p 533 Amiodarone has the longest half-lifeof all the antiarrhythmics (weeks).